Overlying leads to death due to
1. Strangulation
2. Suffocation
3. Mugging
4. Choking

Correct answer: 2. Suffocation

Explanation: Ans. (b) SuffocationRef The essentials of FSM by KS Narayan Reddy 31st ed. /335* STRANGULATION is a form of asphyxia which is caused by constriction of the neck by a ligature without suspending the body It can be several types:# BANSDOLA: one bamboo stick at back of neck and other at the front of neck. Both ends tied with rope which causes death of the victim.# GAROTTING: Victim is attacked from behind with a rope over the neck.# MUGGING: strangulation caused by holding the neck of the victim in the bend of the elbow.* SUFFOCATION is a form of asphyxia, which is caused by deprivation of oxygen, either due to lack of oxygen in environment or from obstruction of air passages at the level of nose and mouth.* Forms of suffocation asphyxia:# BURKING is a method of homicidal smothering and traumatic asphyxia.# Smothering: form of asphyxia caused by closing the external respiratory orifices either by hand or other means# Gagging: asphyxia by forcing cloth into the mouth.# Overlaying: asphyxia due to compression of chest. Ex: Mother overlied on infant.# Choking: asphyxia by obstruction of air passages, usually between the pharynx and bifurcation of trachea. Almost always accidental.# Cafe coronary: Alcoholic who is grossly intoxicated dies while having meal. Death occurs due to sudden heart attack. High blood alcohol content anesthesizes the gag reflex.